Which of following are associated with external oblique muscle:
1. Pouparts ligament
2. Lacunar ligament
3. Superficial inguinal ring
4. All

Correct answer: 4. All

Explanation: A i.e. Poupart ligament; B i.e. Lacunar ligament; C i.e. Superficial inguinal ring- External oblique muscle forms inguinal (Poupart) ligament, lacunar ligament and pectineal (Cooper's) ligamentQ (Mn IPL ligaments), superficial inguinal ring and external spermatic fasciaQ.Internal oblique muscle forms cremastric fascia & muscle. And conjoint tendon (inguinal falx) is common tendon of internal oblique & transverses abdoininisQ.